True about hyaline cartilage -
1. Hyaline cartilage covers the articular surface of Synovial joints.
2. Hyaline cartilage is present in all synovial joints
3. Articular cartilage may undergo ossification with ageing
4. Articular cartilage limits the mobility of the joint

Correct answer: 1. Hyaline cartilage covers the articular surface of Synovial joints.

Explanation: Cartilage which covers the articular surface of synovial joints is articular cartilage, a type of hyaline cartilage.
Hyaline cartilage is present in most of the synovial joints, i.e. articular cartilage of most of the synovial joints is hyaline cartilage. But not all synovial joints have hyaline cartilage; temporomandibular, sternoclavicular and acromioclavicular joints have fibrocartilage.
All hyaline cartilages have a tendency for ossification, except articular cartilage.
Articular cartilage enhances the mobility of joint by providing a smooth frictionless surface.